Most common manifestation of ectopic pregnancy is:
1. Vomiting
2. Bleeding
3. Pain in abdomen
4. Shock

Correct answer: 3. Pain in abdomen

Explanation: Ans. is c, i.e. Pain in abdomenRef. Dutta Obs. 7/e, p 180; Shaw 14/e, p 244Most common and the most consistent symptom of ectopic pregnancy (undisturbed) is Abdominal pain.It is seen in 95-100% cases.Pain is located in the lower abdomen/pelvic region.It can be unilateral or bilateral.In case of ruptured ectopic pregnancy: pain is due to hemoperitoneum and when internal hemorrhage floods the peritoneal cavity and irritates the undersurface of diaphragm and phrenic nerve, the patient also complains of shoulder tip and epigastric pain.In case of unruptured ectopic pain is due to stretching of Fallopian tube.